Buspirone is used as a/an:
1. Anxiolytic
2. Sedative
3. Muscle relaxant
4. Anticonvulsant

Correct answer: 1. Anxiolytic

Explanation: Ans. (A) Anxiolytic(Ref: Katzung 11/e p373; KDT 8/e p493)Buspirone is 5HT1 receptor partial agonist useful for treatment of chronic anxiety. It is not useful in acute anxiety.